A 5 year old girl came with history of progressively increasing pallor since birth and hepatosplenomegaly. Which of the following is the most relevant test for achieving diagnosis -
1. Hb electrophoresis
2. Peripheral smear examination
3. Osmotic fragility test
4. Bone marrow examination

Correct answer: 1. Hb electrophoresis

Explanation: Hb electrophoresis helps to confirm beta thalassemia (Hb F increased ,HbA2 increased ).

Reference :Harsh mohab textbook of pathology sixth edition pg no 322.